Duffy antigen is associated with
1. Plasmodium falciparum
2. Plasmodium ovale
3. Plasmodium vivax
4. Plasmodium malariae

Correct answer: 3. Plasmodium vivax

Explanation: The Duffy glycoprotein is a receptor for chemicals that are secreted by blood cells during inflammation. It also happens to be a receptor for Plasmodium vivax, a parasite that invades red blood cells (RBCs) and causes malaria. Ref ananthnarayana and panikers microbiology textbook 8/e